Morula cell stage has how many cells?
1. 8-Jan
2. 16-Aug
3. 24-32
4. >64

Correct answer: 2. 16-Aug

Explanation: Ans. B. 8-16MORULA FORMATIONa. After the zygote formation, typical mitotic division of the nucleus occurs producing two blastomeres.b. The two cell stage is reached approximately 30 hours after fertilization. Each contains equal cytoplasmic volume and chromosome numbers.c. The blastomeres continue to divide by binary division through 4,8,16 cell stage until a cluster of cell is formed which is called' morula, resembling a mulberry. As the total volume of the cell mass is not increased and the zona pellucida remains intact, the morula after spending about 3 days in the uterine tube enters the uterine cavity through the narrow uterine ostium (1 mm) on the 4th day in the 16-64 cell stage.